Which one of the following doest not pass through the lungs -
1. Hookworm
2. Ascaris
3. Strongyloides
4. Enterobius Vermicularis

Correct answer: 4. Enterobius Vermicularis